What complication should one expect when PCNL is done through 11th intercostal space
1. Hydrothorax
2. Hematuria
3. Damage to colon
4. Remnant fragments

Correct answer: 1. Hydrothorax

Explanation: Complications of PCNL (percutaneous nephrolithotomy) include sepsis, renal hemorrhage, renal collecting system injury, and damage to adjacent organs and viscera, Haematoma, Hematuria, colonic perforation. Hydrothorax or pneumothorax is related to the level of percutanous access . incidence are less than 0.5% below the 12th rib , 4.6% above the 12th rib and 24.6% above 11th rib ref :- Campbell - walsh urology 11th edition . chapter 8 . pg no 179 Bailey and Love 27th edition , chapter 76 , pg no 1409